Young male scrotal swelling since 3 yrs on examination fluctuant swelling testis not separately felt. No trauma or fever. Diagnosis -
1. Vaginal hydrocele
2. Hemorchitis
3. Ca testis
4. Varicocele

Correct answer: 1. Vaginal hydrocele

Explanation: Ans. is 'a' i.e., Vaginal hydorcele o Vaginal hydroceleThis is common type of hydrocele; whee acumulation of fluid occurs between the layers of tunica vaginalis in scrotum. These may! be of Pvo types : Primary and secondary?In primary vaginal hydrocele, often there is not definite cause.Secondary vaginal hydrocele accompanies disease of the testis and/or epididymis. The common causes of secondary hydrocele are epididymo-orhitis, trauma and testicular neoplasm.